Anemia is characterized by
1. Mucous membranes are pallor
2. Heart rate increased
3. Mid- systolic flow murmur
4. All of the above

Correct answer: 4. All of the above

Explanation: D. i.e. (All of the above) (365- Harsh Mohan 5th)General sign and symptoms of Anemia1. Pallor - is most common sign - conjunctivae and skin2. CVS - Tachycardia, collapsing pulse, cardiomegaly, midsystolic flow murmur, dyspnoea on exertion, CHF3. Ocular manifestation - Retinal haemorrhage4. CNS - Attack of faintness, giddiness, headache, tinnitus, drowsiness, numbness and tingling sensations of the hands and feet.5. Reproductive system - Amenorrhoea and menorrhagia6. Renal system - Mild proteinuria and impaired concentrating capacity of the kidney7. GIT - Anorexia, flatulence, nausea, constipation and weight loss.